A young man is with known heroin addiction is brought in the emergency in unconscious state. On examination, the patient has decreased bowel sounds, depressed respiration and pin point pupil. The treatment of choice for this patient is
1. Oral natrexone
2. IV naloxone
3. Oral diazepam
4. Oral Buprenorphine

Correct answer: 2. IV naloxone

Explanation: IV Naloxone 0.1-0.4 mg . Dose repeated every 1-2 hour as naloxone is short acting. As patient is unconscious drug cannot be given orally. Ref: KD Tripathi 8th ed.